Weight of newborn doubles by what age ?
1. 6 months
2. 1 year
3. 2 years
4. 4 years

Correct answer: 1. 6 months

Explanation: O.P. Ghai 9th edition - page 13. "An infant usually doubles his birth weight at the age of 5 months. The birth weight triples at 1 year and is 4 times at the age of 2 years. Thus, the weight at 5 months, 1 year and 2 years is 6, 9 and 12 kgs, respectively."